Which one of the following is not source of manager's power :
1. Reward
2. Coercive
3. Legitimate
4. Efferent

Correct answer: 4. Efferent

Explanation: Manager's power : 1) Position power - Legitimate 2) Formal power a. Reward b. Coercive 3) Personal power a. Expert b. Referent Efferent power is not coming in Manager's power. Ref: Introduction to Educational Administration : Standards, Theories, and Practice By Douglas J. Fiore, 2004, Page 11